Onanism is:
1. Natural sexual offence
2. Unnatural sexual offence
3. Perversion
4. Indecent assault

Correct answer: 3. Perversion

Explanation: Ans. Perversion